Cardinal feature of antisocial personality -
1. Violation of rules of society
2. Attention - seeking behavior
3. Unstable interpersonal relationship
4. Grandiose behaviour

Correct answer: 1. Violation of rules of society

Explanation: Ans. is 'a' i.e., Violation of rules of society Antisocial (Dissocial) personality disordero The essential features of antisocial personality disorder are a disregard for and violation of the rights of the other and the rules of the society.o It is characterized by repeated violation of the law and rules of the society (Drug abuse); Physical aggressiveness; Reckless disregard for safety of self or others; Consistent irresponsibility' in work and family environment and lack of remorse.o This disorder is synonymous with previously used terms like psychopath or sociopath.